Which index helps to assess the linear displacement of the adjacent anatomic contact points of anterior teeth?
1. Occlusal Feature Index (OFI)
2. Irregularity Index
3. Handicapping Labio-lingual Deviation Index (HLDI)
4. Discrepancy Index

Correct answer: 2. Irregularity Index

Explanation: The Irregularity Index: A Quantitative Score of Mandibular Anterior Alignment.
A quantitative method of assessing mandibular anterior irregularity is proposed. The technique involves measurement directly from the mandibular cast with a caliper (calibrated to at least tenths of a millimeter) held parallel to the occlusal plane. The linear displacement of the adjacent anatomic contact points of the mandibular incisors is determined, the sum of the five measurements representing the Irregularity Index value of the case. Reliability and validity of the method were tested, with favorable results. At the University of Washington, several clinical studies have been and are continuing to be performed, using this technique as one of several methods of assessing pretreatment status and posttreatment change. It is hoped that this article will aid the reader in understanding the rationale and utility of a simple quantitative tool which could be used in malocclusion assessment.